Hurthle cells are characteristically seen in which of the following thyroid disease?
1. Hashimoto's thyroiditis
2. Graves' disease
3. de Quervain's thyroiditis
4. Subacute lymphocytic

Correct answer: 1. Hashimoto's thyroiditis

Explanation: (A) Hashimoto's thyroiditis Robbins8 - 1112, 1113; Robbins7 - 1169]# Hurthle cell is a cell in the thyroid that is often associated with Hashimoto's thyroiditis as well as follicular thyroid cancer Histology: Hurthle cells are characterized as enlarged epithelial cells with abundant eosinophilic granular cytoplasm as a result of altered mitochondria. They generally stain pink and are prominently found in histological sections of thyroid glands affected with Hashimoto's. Clinical significance: A Hurthle cell adenoma is a type of thyroid benign tumor that, in rare cases, has the potential to become malignant and metastasize (Hurthle cell carcinoma). Hurthle cells are also found in Hashimoto's thyroiditis and toxic and nontoxic nodular goiter. Hurthle cells are hypothesized to be of follicular epithelial origin.